Recommended working speed for light speed instrument is:
1. 550-650 rpm
2. 1000-2000 rpm
3. 5000-10000 rpm
4. 150-250 rpm

Correct answer: 2. 1000-2000 rpm